Loss of Direct and consensual light reflex Is due to
lesion of
1. Trigeminal nerve
2. Occulomotor nerve
3. Trochlear nerve
4. Abducens nerve

Correct answer: 2. Occulomotor nerve